Considering the growth of the face in all three planes, growth ceases last in which direction?
1. Anteroposterior
2. Sagittal
3. Transverse
4. Vertical

Correct answer: 4. Vertical

Explanation: For the three planes of space in both the maxilla and mandible, there is a definite sequence in which growth is "completed". Growth in width is completed first, then growth in length, and finally growth in height. Growth in width of both jaws, including the width of the dental arches, tends to be completed before the adolescent growth spurt and is affected minimally if at all by adolescent growth changes.
In both sexes, growth in vertical height of the face continues longer than growth in length, with the late vertical growth primarily in the mandible. Increases in facial height and concomitant eruption of teeth continue throughout life, but the decline to the adult level.
Ref: Contemporary orthodontics 4th ed Proffit, page no 113